From which pharyngeal pouches do the parathyroid glands develop?
1. First and second
2. Second and third
3. Third and fourth
4. Fourth and fifth

Correct answer: 3. Third and fourth